Which of the following is not expected in a case of Microcytic Hypochromic anemia -
1. Reduced serum Iron
2. Reduced total RBC distribution width
3. Normal Ferritin levels
4. Increased TIBC

Correct answer: 2. Reduced total RBC distribution width

Explanation: Ans. is 'b' i.e., Reduced total RBC distribution width o Microcytic hypochromic anemias are typically associated with a normal or High Red Cell distrubution width.MCV||||LowNormalHigh|||RDWRDWRDW|||||||||IncreasedNormalIncreasedNormalIncreasedNormalo Iron deficiencyo Thalassemiao Red cell fragmentationo Hemoglobin Ho Chronic diseaseo Heterogenous thalassemiao Myelofibrosis o Sideroblustic anemiao Chronic diseaseo Hemorrhageo Hemolysiso Transfusiono HbAc, Aso Hereditary spherocytosiso Folate or B12 deficiencyo Immunehemolytic anemiao WBC leukemiao Aplastic anemiao Preleukemia